Man is both intermediate and definitive host for -
1. T. solium
2. T. saginata
3. D. latum
4. Dicroftis hominis

Correct answer: 1. T. solium

Explanation: Option 1 T. solium (Pork tapeworm): 1. Definitive host: Man, Intermediate host: Man, PIGS Pigs are the usual intermediate host for T. soliumbut humans, the usual definitive host, can serve as accidental intermediate hosts following ingestion of infectious eggs (in Cysticercosis.) 2. Transmission: (i) Ingestion of food/water contaminated with eggs, (ii) autoinfection 3. Eggs develop to larva (Cysticercus cellulosae) in human intestine. 4. Infective form: Eggs of T. solium. 5. Causes: intestinal taeniasis and Cysticercosis. Note: Cysticercosis is only acquired from the fecal-oral route (ingestion of eggs). This differs from intestinaltaeniasis, which is the ingestion of cysticerci in undercooked pork. Option 2 Taenia saginata: Definitive host: Man Intermediate host: Cattle Infective form- Larva (cysticercus bovis) Option 3 Diphyllobothrium Latum: Definitive host: Man Intermediate host: 1st intermediate host: Cyclops/diaptomus 2nd intermediate host: Fresh water fish